Which of the following terms is associated with cocaine
1. Reefer
2. Smack
3. Speedball
4. Ecstacy

Correct answer: 3. Speedball

Explanation: Reefer - CANNABIS Smack - HEROIN Speedball - COCAINE AND HEROIN Ecstacy - MDMA